Which of the following is not true about hydrocele
1. Abnormal collection of serous fluid in tunica vaginalis
2. It is not possible to get above the swelling on examination of the scrotum
3. Vaginal hydrocele is associated with 5% of the inguinal hernia
4. In congenital hydrocele processus vaginalis is patent and connects to the peritoneal cavity.

Correct answer: 2. It is not possible to get above the swelling on examination of the scrotum

Explanation: Ans. is 'b' i.e., It is not possible to get above the swelling on examination of the scrotum * Hydroceles are typically translucent and it is possible to 'get above the swelling' on examination of the scrotum.Hydrocele* A hydrocele is an abnormal collection of serious fluid in a part of the processus vaginalis, usually the tunica.* Hydrocele fluid contains albumin and fibrinogen. If the contents of a hydrocele are allowed to drain into a collecting vessel, the liquid does not clot; however, the fluid coagulates if mixed with even a trace of blood that has been in contact with damaged tissue.* About 5% of inguinal hernias are associated with a vaginal hydrocele on the same side.* In congenital hydrocele, the processus vaginalis is patent and connects with the peritoneal cavity. The communication is usually too small to allow herniation of intra-abdominal contents. Pressure on the hydrocele does not always empty it but the hydrocele fluid may drain into the peritoneal cavity when the child is lying down; thus, the hydrocele is often intermittent.* Encysted hydrocele of the cord is a smooth oval swelling near the spermatic cord, which is liable to be mistaken for an inguinal hernia. The swelling moves downwards and becomes less mobile if the testis is pulled gently downwards.* Hydrocele of the canal of Nuck is a similar condition in females. The cyst lies in relation to the round ligament and is always at least partially within the inguinal canal.